Which of the following hormone is secreted by Sertoli cells:
1. Testosterone
2. Inhibin
3. Estrogen
4. Androstenedione

Correct answer: 2. Inhibin

Explanation: Ans. B. InhibinSERTOLI CELLS are the supporting elongated cells of the seminiferous tubules of the testes to which spermatids attach to be nourished until they become mature spermatozoa. Sertoli cells produce the hormone inhibin, which is a polypeptide that inhibits FSH.